The distinguishing feature of masticatory space
infection is
1. Pain
2. Dysphagia
3. Trismus
4. Swelling

Correct answer: 3. Trismus